Complement components are:
1. Lipids
2. Proteins
3. Lipoproteins
4. Polysaccharide

Correct answer: 2. Proteins

Explanation: Ans. b. Proteins